All are methods of regional anaesthesia Except
1. Topical anaesthesia
2. Bier's block
3. Nerve block
4. Total intravenous anaesthesia

Correct answer: 4. Total intravenous anaesthesia

Explanation: Regional anaesthesia (Local anaesthesia)Regional anaesthesia means loss of sensation in body part without the loss of consciousness or the impairment of central control of vital functionMethods are:Topical anaesthesia (surface anesthesia)Infiltration anaesthesiaIntravenous regional anaesthesia (Bier's block)Conduction block (either field block or nerve block)Spinal anaesthesiaEpidural anaesthesia(Refer: Morgan and Mikhail's Clinical Anaesthesiology, 5th edition, pg no. 1076)